A 25-year-old lady reports to you with a diffuse, non progressive and a non tender swelling of the right maxilla, approximately 2 x 1.5 cm, extending from the canine to the first molar region. The x-ray shows a ground glass appearance of the bone in the concerned area. The surgical treatment will be
1. Total excision of the lesion
2. Curettage of the area with extraction of the involved teeth
3. Surgical cosmetic recontouring only
4. Surgical excision followed by radiotherapy

Correct answer: 3. Surgical cosmetic recontouring only